Mitochondrial codons are an exception for the property of 'universality' of codons. For eg: Initiation codon in mammals is AUG, which codes for methionine. But in mitochondria, methionine is coded by some other codon. Which among the following is that initiation codon:
1. AGA
2. AAG
3. AUA
4. AUG

Correct answer: 3. AUA

Explanation: Mitochondrial codons are an EXCEPTION for the property of 'universality' of codons. For eg: In mitochondria AUA codes for methionine which usually codes for isoleucine in the cytoplasmic protein synthesis. UGA which is usually a stop codon in cytoplasm codes for tryptophan in mitochondria. AGA & AGG are stop codons in mitochondria (but usually they both code for arginine). Codon Universal Code Mitochondrial Code UGA Stop Tryptophan AGA & AGG Arginine Stop AUA Isoleucine Methionine